What is the use of injecting methylene blue dye in a breast cancer surgery
1. Tattooing for biopsy
2. Marking of tumor cells
3. Sentinel lymph node biopsy
4. Photodynamic therapy

Correct answer: 3. Sentinel lymph node biopsy

Explanation: Sentinel Lymph Node Dissection The technique of SLND was developed to reduce the morbidity associated with axillary surgery, while still providing accurate staging information. Many patients now present with clinically node-negative disease, and SLND can identify patients with proven node-positive disease who may benefit from completion ALND. Patients with negative sentinel lymph nodes can avoid the morbidity of axillary dissection. Identification of the first, or sentinel, node draining the area of the primary tumor in the breast allows for this more selective approach to the axilla. The sentinel node is the most likely node to contain metastatic disease, if present, and the pathologist can focus the examination on the sentinel node without the added cost and time required to examine the full axillary contents. In sentinel node surgery, radiolabeled colloid, blue dye, or both are injected into breast tissue at the siteof the primary tumor; the material passes through the lymphatics to the first draining node, where it accumulates. The procedure can also be performed with injection of the mapping agents at the subareolar position or in a subdermal location overlying the site of the primary tumor. The sentinel node is identified as a blue node, radioactive node, or blue and radioactive node. If the pathologic analysis of the sentinel node is negative for evidence of metastasis, the likelihood that other nodes are involved is sufficiently low that ALND is not required. Ref: Sabiston 20th edition Pgno : 849, 850